Neonatal hepatitis, cholestasis, triangle shaped face, pulmonary stenosis is seen in
1. Apert syndrome
2. Noonan syndrome
3. Alagille syndrome
4. William syndrome

Correct answer: 3. Alagille syndrome

Explanation: The above clinical features seen in Alagille syndrome.